Crimp marks in a radiograph are due to:
1. Droplets of fixing solution
2. Droplets of developing solution
3. Static electricity
4. Sharp bending of the film

Correct answer: 4. Sharp bending of the film